Percentage of para-para isomer in DDT is -
1. 20-30%
2. 40-50%
3. 60-70%
4. 70-80%

Correct answer: 4. 70-80%

Explanation: park's textbook of preventive and social medicine 23rd edition. *The 'technical' DDT contains 70-80% of para-para isomer,which is the most active fraction of DDT.